Heat hardening is done in which orthodontic wire
1. Elgiloy
2. Stainless steel
3. TMA
4. NiTi

Correct answer: 1. Elgiloy